In pontaic fever, which antigen is seen in urine-
1. Group specific antigen of Legionella serogroup- 1 (LP 1)
2. Group specific antigen of L egionella serogroup- 1. (LP 2)
3. Group specific antigen of Legionella serogroup- 4 (LP 4)
4. Group specific antigen of Legionella serogroup- 6 (LP 6)

Correct answer: 1. Group specific antigen of Legionella serogroup- 1 (LP 1)

Explanation: Ans. is 'a' i.e., Group specific antigen of Legionella serogroup-1 (LP1) o The examination of urine for legionella antigen by ELISA is a rapid and specific method for identifying L pneumophila,o However, disadvantage of urine antigen test is that it only detects Legionella pneumophila serogroup 1 (LP-1) and negative urinary antigen test does not exclude infection with Iegionellae other than L pneumophila serogroup-1.o Only culture can detect non-LPl strains (strains other than serogroup-1).